In which of the following conditions there is an increase in lung diffusion capacity?
1. Emphysema
2. Idiopathic pulmonary fibrosis
3. Alveolar haemorrhage
4. Pulmonary oedema

Correct answer: 3. Alveolar haemorrhage

Explanation: DLCO is increased in alveolar hemorrhage whereas it decreases in pulmonary edema, idiopathic pulmonary fibrosis, emphysema.